A gardener has multiple vesicles on hand and multiple eruptions along the lymphatics. Most common fungus responsible is
1. Sporothrix schenckii
2. Cladosporium
3. Histoplasma
4. Candida

Correct answer: 1. Sporothrix schenckii

Explanation: Sporotrichosis is a chronic infection involving cutaneous, subcutaneous and lymphatic tissue. It is caused by Sporothrix schenckii. pathogenesis- 1. lesion on the exposed part of skin follow minor trauma. Nodules are first formed, followed by ulceration and necrosis of nodules. 2. From lesions on the skin and subcutaneous tissue, infection spread by lymphatic channels to the lymph node, and lymphatics are hardened and cord-like. Ref: Textbook of Microbiology, Ananthanarayan and Paniker; 9th edition